Avascular necrosis is a complication of-
1. Fracture of talus
2. Fracture of medial condyle of femur
3. Olecranon fracture
4. Radial head fracture

Correct answer: 1. Fracture of talus

Explanation: *Talus has a vulnerable blood supply and a relatively common site for Avascular necrosis. *The main blood supply to the talus is from the anastomoting ring of blood vessels. *The osseous vessels enter the talus through its neck and run postero-laterally to supply the body of talus. *Therefore,In displaced fracture of talus neck,the blood supply of body is cut off which results in Avascular necrosis of the body of the talus. image shown is avascular necrosis of talus Ref:Maheshwari 6th/e p.166